In acute congestive glaucoma, best prophylaxis for the other eye is:
1. Laser Iridotomy
2. Topical steroids
3. Trabeculectomy
4. Surgical peripheral Iridectomy

Correct answer: 1. Laser Iridotomy

Explanation: Ans. (a) Laser Iridotomy\Ref.: A.K. Khurana 6th ed. 1247-48* Please refer to above explanation* Treatment of choice for primary angle closure glaucoma (fellow eye, latent stage, subacute or intermittent stage , chronic stage) is laser iridotomy* Peripheral surgical iridectomy can also be used.* In acute congestive stage of PACG drug of choice is Pilocarpine, till the time laser iridotomy can be performed. Treatment of choice for fellow eye | | |Primary open angle glaucoma Primary angle closure glaucoma | | Laser trabeculoplasty Nd YAG Laser Iridotomy